The following separation technique depends on the molecular size of the protein :
1. Chromatography on a carboxymethyl (CM) cellulose column
2. Iso-electric focussing
3. Gel filtration chromatography
4. Chromatography on a diethylaminoethyl (DEAE) cellulose column

Correct answer: 3. Gel filtration chromatography

Explanation: C i.e. Gel filtration Chromatography